Which of the following is a radioprotector ?
1. Colony stimulating factor
2. Amifostine
3. Cisplatin
4. Methotrexate

Correct answer: 2. Amifostine